Anti-tubercular drug susceptibility can be done by all of the following methods, except -
1. Resistance ratio method
2. Disc diffusion method
3. Molecular method
4. Radiometric broth method

Correct answer: 2. Disc diffusion method